Carbonic anhydrase is which type of enzyme -
1. Coenzyme
2. Metalloenzyme
3. Serine protease
4. Endopeptidase

Correct answer: 2. Metalloenzyme

Explanation: Ans. is 'b' i.e., Metalloenzyme o The active site of carbonic anhydrase contains a zinc ion, they are therefore classified as metalloenzymes.